Central tendency is not given by
1. Mean
2. Range
3. Median
4. Mode

Correct answer: 2. Range

Explanation: Central tendency is given by mean, median, mode.